GCS of an intubated patient with Abnormal flexion attitude, and eye opening only to pain is
1. E2VTM4
2. E2V1M4
3. E2VNTM3
4. E2V1M3

Correct answer: 3. E2VNTM3

Explanation: Ans. (c) E2 VNTM3 Ref: Bailey and Love, 27th ed; pg. 331* Verbal response could not be tested in intubated patients and are scored as NT (not tested)* So, in intubated patients scores range from E1 M1 NT to E4 M6 NT